At birth mouth is sterile,first bacteria to appear in oral cavity:
1. Streptococcus salivarius.
2. Streptococcus mutans.
3. Streptococcus sanguis.
4. Streptococcus mitis.

Correct answer: 1. Streptococcus salivarius.